One meridian focussed on retina, other meridian focussed behind retina is seen in
1. Simple myopic astigmatism
2. Simple hypermetropia
3. Compound myopic astigmatism
4. Simple hypermetropic astigmatism

Correct answer: 4. Simple hypermetropic astigmatism